Climbing fibres of cerebellar cortex are
1. Olivocerebellar
2. Spinocerebellar
3. Pontocerebellar
4. Vestibulocerebellar

Correct answer: 1. Olivocerebellar

Explanation: Afferent fibres to cerebellum are climbing fibres (olivocerebellar from inferior olivary nuclei) and mossy fibres (other parts of body)